Which of the following minerals is a major component of biological membranes?
1. Potassium
2. Sodium
3. Calcium
4. Phosphorus

Correct answer: 4. Phosphorus

Explanation: Lipid bilayer is made up of phospholipids - Lecithin, Sphingomyelin, Phosphatidyl Inositol and Phosphatidyl serine. So, phosphorus is a major component of biological membranes.